Most common cause of Mediastinitis is:
1. Tracheal rupture
2. Esophageal rupture
3. Drugs
4. Idiopathic

Correct answer: 2. Esophageal rupture

Explanation: Answer is B (Esophageal rupture): Most cases of acute mediastinitis are due to esophageal perforation or occur after median sternotomy for cardiac surgery- Harrison Acute Mediastinitis Chronic Mediastinitis 1. 2. Esophageal rupture Q Median sternotomy for cardiac surgery 1. 2. 3. Tuberculosis / Histoplasmosis (most cases) Q Sarcoidosis, silicosis Q Other fungal diseases